WHO recommended tetanus toxoid dose/s to prevent maternal and neonatal tetanus for a pregnant woman whose previous immunization status is not known is/are -
1. 1
2. 2
3. 3
4. 4

Correct answer: 2. 2

Explanation: Ans. is 'b' i.e., 2 * Guidelines recommeded for prevention of neonatal tetanus are:-1) Training of birth attendants to provide clean delivery. Clean delivery mainly concentrates on three things:i) Hand (of attendant)ii) Delivery surfaceiii) Cord3 cleans5 cleans7 cleans (proposed under RCH+III)Clean HandClean HandsClean HandsClean TowelClean waterClean delivery surfaceClean delivery surfaceClean delivery surfaceClean cord careClean cord cut/bladeClean cord tieClean cord stump (no applicant)Clean cord cut/bladeClean cord tieClean cord stump (no applicant)2) Administration of tetanus-toxoid to pregnant women. Two dose of tetanus toxoid (one at early pregnancy and 2nd one month later) is given in unimmunized pregnant women; whereas only one booster dose is given in immunized pregnant female.3) Administration of tetanus toxoid to all women of child bearing age in areas where incidence of neonatal tetanus is high and coverage of antenatal care is low.4) Administration of antitoxin to unprotected neonates within 6 hours of birth.